Triple deformity of knee is classically seen in -a) Fracture patellab) Tuberculosisc) Rheumatic arthritisd) Rheumatoid arthritis
1. c
2. d
3. ab
4. bd

Correct answer: 4. bd

Explanation: Triple deformity of knee refers to : -


Flexion of knee
External rotation of tibia
Posterior subluxation of tibia


Triple deformity is seen in RA, TB of knee and Polio.